RPGN occurs in all except
1. SLE
2. Post streptococcal glomerulonephritis
3. Diabetic nephropathy
4. Good pasture's syndrome

Correct answer: 3. Diabetic nephropathy